Sicca complex is used for:
1. Primary Sjogren syndrome.
2. Secondary Sjogren syndrome.
3. Benign lymphoepithelial lesion.
4. All of the above.

Correct answer: 1. Primary Sjogren syndrome.